A patients plasma has high levels of interferon beta. He most likely has an infection due to
1. Bacteria
2. Virus
3. Fungi
4. Mycoplasma

Correct answer: 2. Virus

Explanation: Interferon beta is secreted during infection due to viruses. It is produced by fibroblasts. Types of interferons: Alpha Interferon (Leukocyte interferon) is produced by leucocytes. It has antiviral activity. Beta Interferon (Fibroblast interferon) is produced by fibroblasts and epithelial cells. It has antiviral activity. Gamma Interferon (Immune interferon) is produced by Tlymphocytes. It is concerned with immuno-modulatory and antiproliferative functions. Properties of interferon Non-toxic Non -antigenic Species specific Inactivated by Protesases Belongs to Class of Cytokines Stable at pH over (2-10),except Gamma INF,which is labile at pH 2 Non-dialysable Non-sedimentable Reference: Ananthanarayan and Paniker's Textbook of Microbiology Tenth edition